True about retinoscopy with a plane mirror
1. In hypermetropia the red glow moves in opposite direction
2. In myopia the red glow moves in same direction
3. In emmetropia the red glow moves in opposite direction
4. Done at 1 meter away from patient

Correct answer: 4. Done at 1 meter away from patient

Explanation: Perform at 1 meter away Retinoscopy Differentiate b/w type of refractive errors Optical error & organic error Perform at 1 meter away Reflection of light with retinoscopy (plane mirror) 1. Against - myopia > -1 2. Witha. Myopia < -1 ( or)b. Emmetropia = 0 (or)c. Hypermetropia = + value 3. No Movements -Myopia = -1 With Concave mirror retinoscopy the movements are reversed